Travellers diarrhoea is caused by
1. Shigella
2. Escherichia coli
3. Entamoeba histolytica
4. Giardiasis

Correct answer: 2. Escherichia coli

Explanation: Enterotoxigenic E.coli (ETEC): Diarrhea caused by ETEC is of two epidemiological types Endemic in developing countries causing watery diarrhea to fatal disease. Traveller's diarrhea seen in persons from non-endemic areas visiting endemic areas. Ref: Textbook of microbiology; Ananthanarayan and paniker's; 10th Edition; Pg:285